A female newborn was found to have a large midline tumor in the lower sacral area, which was diagnosed as a sacrococcygeal tumor. Which of the following courses of treatment is recommended for this child?
1. Immediate chemotherapy and radiation treatment
2. Surgical removal by age 6 months
3. Surgical removal at age 4-5 years
4. Surgical removal at age 13-15 years

Correct answer: 2. Surgical removal by age 6 months

Explanation: The preponderance of sacrococcygeal tumors are found in female newborns. Develop from pluripotent cells of primitive streak origin, malignancy is of great concern, and the tumor should be surgically removed by age 6 months. Occasionally, these tumors may recur after surgery, demonstrating malignant properties.